Most common viral cause of acquired aqueductal stenosis is ?
1. Rubella
2. Mumps
3. Toxoplasma
4. Enterovirus

Correct answer: 2. Mumps

Explanation: Out of the given options, only mumps and toxoplasma cause aqueductal stenosis. Toxoplasma is not a virus. Hence, the answer is mumps.